Full-term denotes
1. 37 completed to 386/7
2. 39 completed to 406/7
3. 41 completed to 416/7
4. 42 completed weeks

Correct answer: 2. 39 completed to 406/7

Explanation: Early term refers to neonates born at 37 completed weeks up to 386/7 weeks. Full-term denotes those born at 39 completed weeks up to 406/7 weeks. Last, late term describes neonates born at 41 completed weeks up to 416/7 weeks. (Ref: William's Obstetrics; 25th edition)